Treponema pallidum crosses placenta:
1. After 36 weeks
2. After 28 weeks
3. After 2nd trimester
4. At any stage of pregnancy

Correct answer: 4. At any stage of pregnancy

Explanation: Transmission of Treponema pallidum from an infected woman to her fetus across the placenta may occur at any stage of pregnancy, but the lesions of congenital syphilis usually develop after-the 4th month of gestation, when "fetal immunologic" competence begins to develop.